Drug of choice for diphtheria carrier is -
1. Penicillin
2. Erythromycin
3. Procaine penicillin
4. Tetracycline

Correct answer: 2. Erythromycin